Leukostasis is common with which of the following?
1. ALL
2. AML
3. CML
4. CLL

Correct answer: 2. AML

Explanation: Hyperleukocytosis and the leukostasis syndrome is commonly associated with a complication of acute leukemia (particularly myeloid leukemia) It can occur when the peripheral blast cell count is >100,000/mL. The frequency of hyperleukocytosis is 13% in acute myeloid leukemia (AML) and 10-30% in acute lymphoid leukemia; however, leukostasis is rare in lymphoid leukemia.